Which of the following is not used topically for ophthalmic use ?
1. Hydrocortisone
2. Prednisolone
3. Methylprednisolone
4. Dexamethasone

Correct answer: 3. Methylprednisolone

Explanation: Answer- C. MethylprednisoloneTopical corticosteroids for ophthalmologic use are :-Hydrocortisone ointmentPrednisolone acetate suspensionPrednisolone sodium phosphate solutionDexamethasone sodium phosphate suspensionMedrysone suspensionFluorometholone suspensionRimexalone suspension